False about fibrous dysplasia
1. Associated with McCune-Albright syndrome
2. Associated with mazabraud syndrome
3. Shepherd Crook deformity of femur
4. Biopsy is contra-indicated

Correct answer: 4. Biopsy is contra-indicated

Explanation: Mazabraud syndrome- Polyostotic fibrous dysplasia with intramuscular myxomas.